Levels of sex hormone binding globulin in PCOD
1. Increased
2. Decreased
3. Unchanged
4. Variable

Correct answer: 2. Decreased

Explanation: In PCOD, SHBG Levels are decreased.